The lowest court that can give death sentence to an accused is:
1. Chief judicial magistrate
2. High court
3. Supreme court
4. Sessions court

Correct answer: 4. Sessions court

Explanation: Ans. (D). Sessions courtSessions court is the lowest court that can give death sentence.However, such death sentence should be confirmed by the High court.